Voice induced impairment of hearing at -
1. 1000Hz
2. 2000 Hz
3. 3000Hz
4. 4000 Hz

Correct answer: 4. 4000 Hz